The addition of which of the following can accelerate the setting time of zinc oxide cement:
1. Zinc acetate
2. Barium sulphate
3. Zinc sulphate
4. Barium chloride

Correct answer: 1. Zinc acetate